Laudanosine is metabolic end product of
1. Mivacurium
2. Doxacurium
3. Rocuronium
4. Atracurium

Correct answer: 4. Atracurium

Explanation: Laudanosine is metabolic end product of atracurium.